Gastric lavage is NOT done in:
1. Arsenic poisoning
2. Dhatura poisoning
3. Corrosive acid poisoning
4. Organophosphorous poisoning

Correct answer: 3. Corrosive acid poisoning

Explanation: Ans. C i.e. Corrosive acid poisoning Gastriclavage/ Stomach pumping/ Gastric irrigation It is the process of cleaning out the contents of the stomach. Gastric Lavage is contraindicated when patients have a compromised, unprotected airway and in patients at risk of gastrointestinal hemorrhage or perforation. Relative contraindications include when the poisoning is due to a corrosive substance, hydrocarbons, or for poisons that have an effective antidote.